In prolactinoma most common symptom other than galactorrhea is
1. Bitemporal hemianopia
2. Amennorhea
3. Thyroid dysfunction
4. Headache

Correct answer: 2. Amennorhea

Explanation: Answer- B. AmennorheaAmenorrhoea and galactorrhoea are the major endocrine manifestation of prolactinoma.